Cherry red spot is seen in the fundus of patients with all of the following conditions, EXCEPT:
1. CRAO
2. Tay Sach's disease
3. Niemman pick's disease
4. Central retinal vein occlusion

Correct answer: 4. Central retinal vein occlusion

Explanation: Central retinal vein occlusion is characterized by diffuse retinal hemorrhages in all quadrants and dilated and tortuous retinal veins. There can be few scattered retinal hemorrhages with a few cotton wool spots to very extensive retinal hemorrhage throughout the fundus. Conditions with cherry red spots are: Central retinal artery occlusion Tay Sach's disease Niemann pick's disease Gaucher's disease Faber's disease Hurler's syndrome Ref: Ophthalmology edited by Myron Yanoff, page 590 , Atlas of Fundus Fluorescein Angiography By Pukhraj Rishi chapter 27.